Decrease in "Alkaline phosphatise" is seen in:
1. CML
2. Leukemoid reaction
3. Eosinophilia
4. Malaria

Correct answer: 1. CML

Explanation: CML